Which of the following metabolic pathways does not generate ATP?
1. Glycolysis
2. TCA cycle
3. Fatty acid oxidation
4. HMP pathway

Correct answer: 4. HMP pathway

Explanation: Ans. D. HMP pathway(Ref: Harper 29/e page 199, Harper 31/e page 185)Metabolic pathwayNet ATP yieldAnaerobic glycolysis2Aerobic glycolysis7Aerobic oxidation of 1 mol of glucose32Palmitic acid oxidation106Citric acid cycle10Rappaport leubering cycle0HMP pathway0